In the laboratory, the screening procedure used to differentiate Salmonella and Shigella from other Enterobacteriaceae includes testing for their inability to:
1. Ferment glucose
2. Ferment lactose
3. Produce cytochrome oxidase
4. Reduce nitrates

Correct answer: 2. Ferment lactose

Explanation: Inability to ferment lactose is used to differentiate Salmonella and Shigella from other Enterobacteriaceae. Option 1, 3, 4 Enterobacteriaceae properties: Ferments glucose Reduces nitrate to nitrite Oxidase test negative Catalase positive (except Shigella dysenteriae type-1) Motile, except Shigella and Klebsiella. Option 2 Lactose fermenters Non Lactose fermenters Escherichia Klebsiella Enterobacter Other members of Enterobacteriaceae family including Salmonella and Shigella.